Selective media for N. gonorrhoeae:
1. Korthofs Media
2. Loeffler's Media
3. Levinthal Media
4. Thayer Martin Media

Correct answer: 4. Thayer Martin Media

Explanation: Ans. d (Thayer Martin Media) (Ref. Ananthanarayan Microbiology 7th ed., p. 211)Special cultureMedia used for isolationH. influenzaeChocolate agar with factors V (NAD) and X (hematin)N. gonorrhoeaeThayer-Martin (VCN) mediaB. pertussisBordet-Gengou (potato) agarC. diphtheriaeTellurite plate Loffler's medium Blood agarM. tuberculosisLowenstein-Jensen agarLactose-fermentingPink colonies on MacConkey's agarLeptospiraEMJH mediaLegionellaBCYE with | iron and cysteineFungiSabouraud's agar